Immunohistochemistry marker of histiocytosis X
1. CD1a
2. CD57
3. CD3
4. CD68

Correct answer: 1. CD1a